Gynaecomastia is caused by :
1. Spironolactone
2. Rifampicin
3. Thiazide
4. Propranolol

Correct answer: 1. Spironolactone

Explanation: Ans. is 'a' spironolactone Drugs causing gynecomastiaCalcium channel antagonist*Clomiphene*Digitalis*EstrogensEthionamide*Griseofulvin*Isoniazid*Phenytoin*Methyldopa*Spironolactone*TestosteroneKetoconazole*Reserpine*